A 38-year-old woman undergoes a subtotal thyroidectomy The biopsy specimen contains psammoma bodies and prominent papillae of epithelium with fibrovascular core Nuclear region of the cells shows a groove formation, optical clearing, eosinophilic inclusions, and overlapping of nuclei 

Which of the following is the most likely diagnosis?
1. Follicular thyroid carcinoma
2. Medullary thyroid carcinoma
3. Papillary thyroid carcinoma
4. Reidels thyroid itis

Correct answer: 3. Papillary thyroid carcinoma